Marker of lysosome is: (Repeat)
1. Acid Phosphatase
2. Lactate dehydrogenase
3. Oxidase
4. Na K ATPase

Correct answer: 1. Acid Phosphatase

Explanation: Ans: A (Acid Phosphatase) Ref: Harpers illustrated biochemistry, 28th edition.Explanation:Markers of Intracellular organellesPlasma Membrane: Na+ K+ ATPase & 5' NucleotidaseCytoplasm: Lactate dehydrogenaseMitochondria: Glutamate dehydrogenaseRibosome: RNAEndoplasmic reticulum: Glucose-6 phosphataseLvsosoitie: Acid phosphataseGolgi Apparatus: Galactosyl transferasePeroxisomes: Catalase & Uric acid oxidaseNucleus: DNAPeroxisome: Oxidase & catalase